One is not the feature of obstructive jaundice :
1. Pruritis
2. Elevated level of S.bilirubin
3. Raised alkaline phosphatase
4. Raised Urinary urobilinogen

Correct answer: 4. Raised Urinary urobilinogen

Explanation: Ans. is 'd' ie Raised urinary urobilinogen As already explained in Nov 99 (Biochem) urinary urobilinogen is decreased in obstructive jaundice.Due to obstruction in excretion of bile there is increased serum levels of bile salts (causing pruritics) and alkaline phosphatase (a rise of more than 3 times is diagnostic of obstructive jaundice)